Gastrointestinal stromal malignancy arises from which of the following ?
1. Smooth muscle
2. Nerve cells
3. Interstitial cells of Cajal
4. Vascular Endothelium

Correct answer: 3. Interstitial cells of Cajal

Explanation: Ans. is 'c' i.e., Interstitial cells of Cajal